Most common pattern of Penumonia seen in Klebsiella infection is
1. Lobar Pneumonia
2. Bronchopneumonia
3. Interstitial Pneumonia
4. Miliary Pneumonia

Correct answer: 1. Lobar Pneumonia

Explanation: Ans. is 'a' i.e., Lobar Pneumonia